All the following are primary colours except
1. Blue
2. Green
3. Red
4. Yellow

Correct answer: 4. Yellow

Explanation: (D) Yellow > Blue, green and red are the primary colours but the cones with their maximal sensitivity in the yellow portion of sensitive enough in red portion to respond to red light at a lower threshold than green